Poroscopy in a forensic lab involves which of the following?
1. Counting the whorls in the fingerprints
2. Counting pores of sweat glands
3. Counting pores of sebaceous glands
4. Counting number of papillary ridges

Correct answer: 2. Counting pores of sweat glands

Explanation: Poroscopy is the term applied to a specialized study of pore structure found on papillary ridges of skin as a means of identification. It comes under level 3 detail of identification and hence is more reliable and accurate. It is a further study of fingerprints described by Locard. There are plenty of micropores in between the papillary ridges of the skin, which are openings of sweat glands. Ref: Textbook of Forensic Medicine and Toxicology by Nagesh Kumar Rao, Page 100